A 9 year old child disturbs other people, is destructive, interferes when two people are talking, does not follow instructions and cannot wait for his turn while playing a game. He is likely to be suffering from -
1. Emotional disorders
2. Behavioural problems
3. No disorder
4. Attention deficit hyperactivity disorder

Correct answer: 4. Attention deficit hyperactivity disorder

Explanation: Information in this question are (i) Child disturbs other people, (ii) Interrupts others, (iii) Does not follow instructions, (iv) Difficulty in awaiting turn (cannot wait for his turn).
All are features of ADHD.